During exercise, increase in O2 delivery to muscles is because of all except
1. Oxygen dissociation curve shifts to left
2. Increased stroke volume
3. Increased extraction of oxygen from the blood
4. Increased blood flow to muscles

Correct answer: 1. Oxygen dissociation curve shifts to left

Explanation: Hb-O2 dissociation curve shift to left indicates more affinity of Hb to O2 and thus less delivery of O2 to tissues. Exercise causes increased 2,3 DPG.
Shift to left seen in
-        Increased pH
-        Decreased 2,3 DPG, temperature, PCO2
-        HbF (Fetal)
Shift to right seen in
-        Decreased pH
-        Increased 2,3DPG, temperature, PCO2
-        HbS (Sickle cell)